Most common cause of punched out lesions in phalanges is:
1. Enchondroma
2. Chondrosarcoma
3. Aneurysmal bone cyst
4. Multiple myeloma

Correct answer: 1. Enchondroma

Explanation: Ans. Enchondroma